Which of the following statement about ascitis is true:
1. Hemorrhagic ascitis is diagnosed when RBC count > 1,000/mm3
2. SBP is diagnosed when Neutrophil count > 500/mm3
3. Large volume paracentesis is indicated in SBP
4. USG can detect as little as 100 ml of peritoneal fluid

Correct answer: 4. USG can detect as little as 100 ml of peritoneal fluid

Explanation: Answer is D (USG can detect as little as 100 ml of peritoneal fluid): Abdominal ultrasound may detect as little as 100 ml of ascitic fluid ultrasound is thus a useful investigation for the diagnosis of minimal ascitis -CCDT 3rd/717 Hemorrhagic Ascitis is diagnosed NI hen RBC count >10, 000 / mm3 (Not >1000/mm3) An RBC count of 10,000 / nun3 is the thresholdfior pink appearance and hemorrhagic ascitis is thus diagnosed when ascitic RBC count is > 10,000 / mm3 - Schiff 's diseases of the Liver 101h/ 996 Spontaneous Bacterial peritonitis (SBP) is diagnosed when Neutrophil count > 250/mm3 The diagnosis of SBP is made when the absolute neutrophil count > 250 / nun3 - Harrisons 17th/1979 The drug of choice for treatment of SBP are cephalosporins & not Norfloxacin Celbtaxime is considered the drug of choice Pr emperic therapy of SBP Large volume Therapeutic Paracentesis is not recommended for SBP Diagnostic paracentesis is indicated in SBP Pr establishing the diagnosis but large volume paracentesis should be avoided - Schiff's Diseases of the Liver 10'"/561